Astringents are substances that :
1. Irritate sensory nerve endings
2. Precipitate proteins
3. Penetrate target cell nucleus for their action
4. All of the above

Correct answer: 2. Precipitate proteins